The time between entry of the organism and to produce maximum infection is known as
1. Lead time
2. Generation time
3. Serial interval lead
4. Incubation period

Correct answer: 2. Generation time

Explanation: Generation Time- The interval of time between receipt of infection by a host and maximal infectivity of that host. The incubation period is used for infections that manifest disease whereas generation time refers to the transmission of infection whether clinical or subclinical. Ref : Park 23rd edition Pgno : 100